Metastatic calcification is most often seen in
1. Lymphnodes
2. Lungs
3. Spleen
4. Liver

Correct answer: 2. Lungs

Explanation: Metastatic calcification can occur in normal tissues whenever there is hypercalcemia.Metastatic calcification can occur widely throughout the body but principally affects the interstitial tissues of the vasculature, kidneys, lungs, and gastric mucosa.( Robbins Basic Pathology, 9th edition, page 26 )